Treatment of choice in depression with sucidal tendencies
1. TCA
2. MAO-Inhibitiors
3. Fluoxetine+TCA+MAO-Inhibitor
4. Electro convulsive therapy

Correct answer: 4. Electro convulsive therapy

Explanation: D i.e. ECT